Schwangershaft protein is the other name of:
1. hCG
2. Papp-1
3. Pregnancy specific beta1 glycoprotein
4. Activin

Correct answer: 3. Pregnancy specific beta1 glycoprotein

Explanation: This protein appears as early as three days following fertilisation in maternal blood and is developed as a test for early detection and monitoring of pregnancy.